Oligodendrocytes are important in :
1. Blood brain barrier
2. Myelin formation
3. Phagocytosis
4. Chemotaxis

Correct answer: 2. Myelin formation

Explanation: B i.e. Myelin formationMn: "1SPM - degCMO" i.e., Schwann cell Mylinate peripheral nervous system in 1:1 basis ; and Central nervous system is mylinated by Oligndendrocyte in 1:50 basis.